Suspended animation may be seen in A/E:
1. Electrocution
2. Morphine poisoning
3. Strangulation
4. Rape

Correct answer: 4. Rape

Explanation: D i.e. Rape